Looser's zone is present in
1. Multiple myeloma
2. Osteomalacia
3. Pseudoparathyroidism
4. Osteoporosis

Correct answer: 2. Osteomalacia

Explanation: Ans. B: Osteomalacia Pseudo-fracture (Looser zone): A lucent band of decreased cortical density Perpendicular to bone surface Often multiple, +/- symmetrical +/- callus formation "Pathognomonic" of osteomalacia and seen on compressive (concave) side (eg, prox femur) Also seen in Paget dz on tensile (convex) side